Russel and Taylor classification is used for
1. Fracture Neck of femur
2. Subtrochanteric femoral fracture
3. Shaft of Tibia fracture
4. Humerus shaft fracture

Correct answer: 2. Subtrochanteric femoral fracture